A patient with AIDS and a CD4 cell count of 100/ul , has a persistent fever and Weight Loss associated with invasive pulmonary disease due to M avium complex. Optimal management of this case requires
1. Select an antibiotic regimen based on drug susceptibility of the cultured organism
2. Start treatment with isoniazide and rifampicin
3. Treat the patient with clarithromycin,ethambutol and rifabutin
4. Treat with trimethoprim sulfamethoxazole

Correct answer: 3. Treat the patient with clarithromycin,ethambutol and rifabutin

Explanation: Ref-KDT 6/e p750 Mycobacterium avium complex infection is treated with combination of rifabutin,ethambu eth and clarithromycin